A glomerulus-like structure composed of central blood vessel enveloped by germ cells within a space lined by germ cells, is seen in -
1. Sertoli-Leydig cell tumor
2. Granulosa cell tumor
3. Endodermal sinus tumor
4. Sex cord tumor with annular tubules

Correct answer: 3. Endodermal sinus tumor

Explanation: Ans. (c) Endodermal sinus tumor(Ref: Robbins 9th/pg 977)Yolk sac tumor or endodermal sinus tumor show Schiller-Duval bodies or glomeruloid structures